K2SO4 in agar-agar is for:
1. Accelerating the setting stage of gypsum
2. Increase strength
3. Give dimensional stability
4. None of the above

Correct answer: 1. Accelerating the setting stage of gypsum